Megaloblastic anaemia may be caused by all of the following except
1. Phenytoin
2. Methotrexate
3. Pyrimethamine
4. Amoxicillin

Correct answer: 4. Amoxicillin

Explanation: Phenytoin decreases folate absorption & increases its excretion causing megaloblastic anaemia.

Methotrexate is folate antagonist

Pyrimethamine in high doses causes megaloblastic anaemia,especially in those with marginal folate stores.

Reference :Tripathi essentials of medical pharmacology 7th edition